Prophylactic Cholecystectomy is done in
1. Calcified GB
2. Diabetes
3. Asymptomatic gallstones
4. Family history of gallstones

Correct answer: 1. Calcified GB

Explanation: Indications of prophylactic Cholecystectomy Cardiac transplant recepients Lung transplant recipients Chronic TPN requirements Recepients of biliopancreatic diversion (bariatric patient) Children with hemoglobinopathy (sickle cell, thalassemia and spherocytosis) Asymptomatic gallstone >=3cm Stone associated with the polyp Family history of GB cancer and asymptomatic stones Cholelithiasis encountered during elective abdominal procedures Non functioning GB Typhoid carrier with positive bile culture Trauma to GB Procelain GB Ref: Sabiston 20th edition Pgno :1494